As per National Trust Act, patients suffering from which of the following disease are eligible for disability benefit?
1. Learning disability
2. Depression
3. Intellectual disability
4. Dementia

Correct answer: 3. Intellectual disability

Explanation: Ans. C. Intellectual disabilityTHE NATIONAL TRUST ACT, 1999An Act to provide for the constitution of a body at the national level for the Welfare of Persons with Autism, Cerebral Palsy, Intellectual Disability and Multiple Disabilities and for matters connected therewith or incidental thereto The National Trust for the Welfare of Persons with Autism, Cerebral Palsy, Intellectual Disability and Multiple Disabilities Act, 1999 and its Rules & Regulations* With effect from such date as the Central Government may, by notification, appointment, there shall be constituted, for the purpose of this Act, a body by the name of the National Trust for Welfare of persons with Autism, Cerebral Palsy, Intellectual Disability and Multiple Disabilities which shall be a body corporate by the name aforesaid, having perpetual succession and a common seal, with power, subject to the provision of this Act, to acquire, hold and dispose of property, both movable and immovable, and both movable and immovable, and contact, and shall, by the said name, sure or be sued.* The general superintendence, direction and management of the affairs and business of the Trust shall vest in a Board which may exercise all powers and do all acts and things which may be exercised or done by the Trust.* The head office of the Trust shall be at New Delhi and the Board may, with the previous approval of the Central Government, establish offices at other places in India.